Sphincter of Oddi consists of -
1. 2 sphincters
2. 3 sphincters
3. 4 sphincters
4. 5 sphincters

Correct answer: 2. 3 sphincters

Explanation: Sphincter of Oddi consists of three sets of sphincters :-


Sphincter choledochus (Sphincters of Boyden).
Sphincter pancreaticus. 
Sphincter of Oddi (proper).